Contraindications of circlage operation are all except:
1. Leaking membranes
2. Features of amnionitis
3. History of vaginal bleeding
4. Pregnancy beyond 14 weeks

Correct answer: 4. Pregnancy beyond 14 weeks